Commonest cause of post partum hemorrhage is:
1. Atonic uterus
2. Traumatic
3. Combination of atonic and traumatic
4. Blood coagulation disorders

Correct answer: 1. Atonic uterus

Explanation: Atonic uterus